Trauma and injury severity score (TRISSI) includes
1. GCS+BP+RR
2. S+ISS+ person's age
3. S+ISS+GCS
4. S+GCS+BP

Correct answer: 2. S+ISS+ person's age

Explanation: Predict outcome of trauma cases S - Revised Trauma Score ISS - Injury Severity Score